Which Drug is contraindicated in prince metal's angina is:
1. Nifedipine
2. Amyl nitrate
3. Propranolol
4. Calcium channel blocker

Correct answer: 3. Propranolol